CRP is a protein seen in certain systemic inflammatory conditions. Here 'C' stands for:
1. Canavalin A
2. Cellular
3. Chondroitin sulfate
4. C polysaccharide of streptococcus

Correct answer: 4. C polysaccharide of streptococcus

Explanation: C-reactive protein (CRP, so named because it reacts with the C polysaccharide of pneumococci) is an acute phase protein. It can stimulate the classic complement pathway. CRP is used as a marker of tissue injury, infection, and inflammation, and there is considerable interest in its use as a predictor of certain types of cardiovascular conditions secondary to atherosclerosis. Ref: Murray R.K., Jacob M., Varghese J. (2011). Chapter 50. Plasma Proteins & Immunoglobulins. In D.A. Bender, K.M. Botham, P.A. Weil, P.J. Kennelly, R.K. Murray, V.W. Rodwell (Eds), Harper's Illustrated Biochemistry, 29e.